A 47-year-old male, Kishore exhibited signs and symptoms of acromegaly. Radioogic studies showed the presence of a large pituitary tumor. Surgical treatment of the tumor was only partially effective in controlling the disease. At this point, which of the following drugs is most likely to be used a spharmacological therapy?
1. Desmopressin
2. Leuprolide
3. Octreotide
4. Somatropin

Correct answer: 3. Octreotide

Explanation: (Ref: KDT6/e p577) Drugs useful in acromegaly are: Bromocriptine and cabergoline Somatostatin Octreotide (long acting somatostatin analogue) Pegvisomant (growth hormone receptor antagonist)